In a 5-year-old child, cause of unilateral epistaxis is:
1. Foreign body
2. Polyp
3. Atrophic rhinitis
4. Maggot's

Correct answer: 1. Foreign body

Explanation: (a) Foreign body(Ref. Scott Brown, 8th ed., Vol 1; 243)Trauma to Little's area is the most common cause of epistaxis in children.In this age group foreign body can be a cause of unilateral epistaxis, though foreign body usually presents with unilateral foetid (foul smelling) discharge.Polyps and atrophic rhinitis do not show epistaxis moreover both of them do not occur in this age group.Maggots present with blood stained nasal discharge which is bilateral.